Cryoprecipitate contains all except -
1. Factor VIII
2. Factor IX
3. Fibrinogen
4. VWF

Correct answer: 2. Factor IX